In a community of 3000 people, 80 % are Hindus 10 % Muslims, 5 % Sikh, 4 % Christians and 1 % Jahn To select a sample of 300 people to analyses food habits, ideal sample would be -
1. Simple random
2. Stratified random
3. Systematic random
4. Inverse sampling

Correct answer: 2. Stratified random